The most likely diagnosis for a lady with central obesity showing purple striae on abdominal skin is:
1. Conn's syndrome
2. Cushing's syndrome
3. Addison's disease
4. Hypothyroidism

Correct answer: 2. Cushing's syndrome

Explanation: Answer is B (Cushing's Syndrome): Central Obesity (Centripetal francal obesity) and the presence of violacious (purple) cutaneous striae suggest a diagnosis of Cushing's Syndrome.